Not gluconeogenic
1. Acetyl CoA
2. Lactate
3. Glycerol
4. Alaline

Correct answer: 1. Acetyl CoA

Explanation: The major non-carbohydrate precursors of glucose are lactate, glucogenic amino acids (all except leucine) and glycerol. Lactate is formed by RBC in glycolysis because mitochondria are absent. Lactate is also formed by active skeletal muscle when the rate of glycolysis exceeds the rate of TCA cycle, the pyruvate formed is converted to lactate.Ref: DM Vasudevan, 7th edition, page no: 117